Sorafenib is used in
1. Multiple myeloma
2. CLL
3. AML
4. ALL

Correct answer: 3. AML

Explanation: Sorafenib is used in the treatment of FLT3 acute myeloid leukemia it is also used in hepatocellular carcinoma REF KD Tripathi 8th ed